False about Palio -
1. Descending paralysis
2. Bilateral symmetrical
3. Non-progressive
4. LMN type paralysis

Correct answer: 2. Bilateral symmetrical

Explanation: Paralysis is LMN type (flaccid) and focal in distribution. REF:Textbook of microbiology, Ananthanarayan and Paniker. Page no.:487